Type of external root resorption occur in concussion and subluxation:
1. Surface resorption
2. Replacement resorption
3. Ankylosis resorption
4. Inflammatory root resorption

Correct answer: 1. Surface resorption